Which of the following is the mechanism of action of tetanospasmin ?
1. Inhibition of release of GABA and glycine
2. Inhibition of Ach release from synapse
3. Inhibition of protein synthesis
4. Activation of adenylyl cyclase

Correct answer: 1. Inhibition of release of GABA and glycine

Explanation: Ans. is 'a' i.e., Inhibition of release of GABA and glycine Pathogenicity CL tetani has little invasive property and is confined to the primary site of lodgment. Tetanus results from the action of the potent exotoxin it produces.